A 20-year-old female received treatment for bronchial asthma. She noticed a mole recently. Which characteristic of mole carries a high risk for malignancy?
1. Irregular margin
2. Mole on the face
3. Size 6 mm
4. Hyperpigmentation

Correct answer: 1. Irregular margin

Explanation: Ans: A (Irregular margin) Ref: Rook s Textbook of Dermatology, 8th edition, pg:Explanation:Recognition of a progressively changing melanocytic lesion growing in size and becoming irregular in shape and color is important in the diagnosis of melanoma.The two commonly used diagnostic systems areo American ABCDE System.o Glasgow 7-point check list.American ABCDE System:A- Asymmetry.B- Irregular Border (Border notching or Bleeding).C- Irregular Colour (Colour variegation with black, brown, red or white hue).D- Diameter > 6 mm.E- Evolving [Mole which is different from the rest or is changing in size, shape or colour).The Glasgow Seven-Point Check List:3 Major and 4 Minor features.Any lesion with one major feature should be considered for removal.Presence of additional minor features should add to the clinical suspicion.Major featuresMinor featuresChange in sizeDiameter > 5 mmChange in shapeInflammationChange in colorOoozing or bleeding Mild itch or altered sensation* in view of the above criteria, the best option would be a) Irregular margin.Common Presentations of MelanomaA changing Mole.Development of itchiness in lesion.Erosion and or crusting.Appearance of satellite nodules.Enlargement of regional lymph nodes.